Birth length doubles by what age?
1. 1 year
2. 2 years
3. 3 years
4. 4 years

Correct answer: 4. 4 years

Explanation: Birth length doubles by 4- 4 1/2 yrs of age Age Birth 1 year 2 year 4 year 12 year Height 50 cm 75 cm 90 cm 100 cm 150 cm Length of child increases by 50% in 1st year.